Which among the following is FALSE feature regarding Atrial Septal Defect (ASD) ?
1. Pulmonary plethora leads to pulmonary artery hypertension
2. Murmur presents early in the course of disease
3. Flow murmur is present leading to mid diastolic murmur
4. Shunt murmur is absent

Correct answer: 2. Murmur presents early in the course of disease

Explanation: Cardiac disease Murmur ASD Shunt murmur is absent but flow murmur is present leading to mid diastolic murmur. Pulmonary plethora will lead to pulmonary artery hypertension and development of loud P2. Presents late Mitral stenosis Leads to mid diastolic murmur. Later PAH develops and leads to loud P2. HOCM Result in ejection systolic murmur with narrow split/ paradoxical split S2 Hence it is unlikely as a diagnosis in this case Pulmonary artery Hypertension Leads to loud P2. Severe PAH, early Pulmonic regurgitation can occur. Called as Graham Steel murmur.